Acid Citrate Dextrose(ACD), used to store blood, preserves the RBC for a period of 21 days. The storage period when adding phopshate alone and when adding adenine and phosphate together to ACD would respectively be?
1. 35 days and 42 days
2. 21 days and 35 days
3. 28 days and 45 days
4. 35 days and 28 days

Correct answer: 2. 21 days and 35 days

Explanation: The storage period when adding phosphate alone to ACD would be 21 days and when adding adenine and phosphate together would be 35 days. When adding phosphate to ACD, citrate Phosphate Dextrose (CPD) is formed- It has a storage period of 21 days. There is no change in the shelf life as phosphate only increases the 2,3 DPG levels of the stored blood. When adding both phosphate and adenine to ACD, Citrate phosphate Dextrose Adenine(CPDA-1) is formed. It has a storage period of 35 days. It increases the shelf life by improving ATP synthesis of RBCs. Using additive solutions containing saline, addenine and glucose, with or without mannitol (SAGM) decreases RBC hemolysis, thus increasing the storage period to 42 days. Ref: WIntrobe,s Clinical Hematology 13th edition PGno: 550